Which vitamin is associated with glycogen phosphorylase?
1. Pyridoxin
2. Niacin
3. Riboflavin
4. Thiamine

Correct answer: 1. Pyridoxin

Explanation: Pyridoxin Pyridoxal phosphate is an essential cofactor for glycogen phosphorylase